Venous blood of liver is drained by
1. Portal vein
2. Hepatic artery
3. Sinusoids
4. Hepatic veins

Correct answer: 4. Hepatic veins

Explanation: The portal vein and hepatic arteries form the liver's dual blood supply. After draining into the liver sinusoids, blood from the liver is drained by the hepatic vein. Ref - Researchgate.net